Pain in endometrium is closely associated with
1. site of endometrium
2. depth of invasion
3. stage of disease
4. size of lesion

Correct answer: 2. depth of invasion

Explanation: Ans B Ref: Williams gynaec page 230Underlying cause of pain is unclear: proinflammatory cytokines (PGF2alpha) released by the endometriotic implants into peritoneal fluidEvidence to suggest that pain from endometrium correlate to depth of invasion and site of pain- many indicate lesion location.Recent data suggest pain result from neuronal invasionRef: Sheila Balakrishnan, gynaec page 143Severe endometriosis can produce pain by peritoneal inflammation, deep infiltration and scarring, invasion of nerve endings, adhesions, collection of menstrual blood.